In infant (full term) diameter (mm) length (cm) of ETT used are
1. 3.5, 16
2. 7,12
3. 3.5, 12
4. 7,10

Correct answer: 3. 3.5, 12

Explanation: C i.e. 3.5 mm, 12 cm Endotracheal Intubation Endotracheal tube is sterilized by boilingQ and cuffed E.T. tube is inflated at pressure 15-22 mmHg In neurosurgical operations Armoured Endotracheal tubeQ is used. For quick intubation, DOC is Suxamethonium.Q